Inheritance is a major factor in :
1. Endometrial Ca
2. Cervical Ca
3. Both
4. None

Correct answer: 1. Endometrial Ca

Explanation: Endometrial Ca